When is surgery not done in cases of Ulcerative Colitis?
1. Toxic megacolon
2. Colonic perforation
3. Colonic obstruction
4. Refractory fistula

Correct answer: 4. Refractory fistula

Explanation: Surgical indications for ulcerative colitis: Urgent Non-urgent: Fulminant colitis Toxic megacolon Perforation Massive hemorrhage Acute colonic obstruction Colon cancer Medically refractory disease Unacceptable medication related toxicity Dysplasia Suspected cart Ulcerative colitis Crohn's disease MC part involved is Rectum(colon) MC is terminal ileum (mouth to anus) Hallmark is pseudo polyp Fistula More prone for malignancy Less prone that ulcerative colitis Mucosa and submucosa involved Transmural involvement Complications: Hemorrhage Toxic megacolon Fistula Abscess Obstruction Perforation Lead pipe colon String of Kantor Surgery can be done DOC is sulphasalazine Surgery is of no use DOC is sulphasalazine